Genes contributing to schizophrenia are all except
1. 5q
2. 1q
3. 6q
4. 8q

Correct answer: 4. 8q

Explanation: Defects in genes like 1q,5q,6p,6q,8p,10p,13q,15q,22q are associated with schizophrenia and psychosis Ref: Essentials of postgraduate psychiatry By JN Vyas 1st ed Pg 386